Which of the following is false about apexogenesis?
1. Done in a non-vital tooth
2. More physiologic process
3. Pulp tissue with mild inflammation
4. Root development continues

Correct answer: 1. Done in a non-vital tooth